Which of the following harmone is an example of peptide harmone?
1. Paratharmone
2. Dopamine
3. Cortisol
4. Thyroxine

Correct answer: 1. Paratharmone

Explanation: Paratharmone is a polypeptide harmone.
Dopamine and thyroxine is amino acid derivative.
Cortisol is a steroid harmone.